The tensile strength of wound reaches that of tissue by ?
1. 6 weeks
2. 2 months
3. 4 months
4. None

Correct answer: 4. None

Explanation: Ans. is 'None' It never equals the tensile strength of unwounded skin. Robbin's writes- "How long does it take for a skin wound to achieve its maximal strength? When sutures are removed from an incisional surgical wound, usually at the end of the first week, wound strength is approximately 10% that of unwounded skin. Wound strength increases rapidly over the next 4 weeks, slows down at approximately the third month after the original incision, and reaches a plateau at about 70% to 80% of the tensile strength of unwounded skin."